Chronic Fatigue Syndrome is characterized by all except
1. New onset fatigue
2. Not improved by rest
3. Major psychiatric disorder associate
4. Fatigue last for more than 6 mother

Correct answer: 3. Major psychiatric disorder associate

Explanation: Answer- C. Major psychiatric disorder associateFatigue lasts for at least 6 monthsFatigue is of new or definite onset.Fatigue is not the result of an organic disease or ofcontinuing exertionFatigue is not alleviated by rest.Fatigue symptoms are soar throat, tender cervical or axilary lymph nodes, muscle pain, pain in several joints, headaches, malaise